Plaque Jaunes seen in?
1. Testicular injury
2. Old healed cortical contusion
3. Spleenic contusion
4. Liver contusion

Correct answer: 2. Old healed cortical contusion

Explanation: Ans. is 'b' i.e., Old healed cortical contusion Old or remote cerebral contusions are associated with resorption of the injured tissue, resulting in various degrees of cavitation, in addition to the presence of a golden-yellow discoloration due to residual hemosiderin. These remote cerebral contusions are often referred to as plaque jaune or yellow plaque.